Oil and grease are sterilised by-
1. Hot air oven
2. Autoclaving
3. Filtration
4. Irradiation

Correct answer: 1. Hot air oven